False about lacerated wound is?
1. Profure hemorrhage
2. Paralysis
3. Hair bulb damaged
4. Irregular margins

Correct answer: 1. Profure hemorrhage

Explanation: Features of laceration

Edger ragged, irregular and bruised.
Tissue bridges present.
Vessels, nerves and hair bulbs crushed.
Less hemorrhage.